Which mosquito can fly the greatest distance?
1. Mansonia
2. Aedesocarn
3. Anopheles
4. Culex

Correct answer: 4. Culex

Explanation: Ans. is 'd' i.e., Culex